Genetic material possessing the dual capacity to exist chromosomal and extrachromosomal entity
1. Autosome
2. Episome
3. Endosome
4. Mesosome

Correct answer: 2. Episome

Explanation: An episome is a portion of genetic material that can exist independent of the main body of genetic material (called the chromosome) at some times, while at other times is able to integrate into the chromosome. Examples of episomes include insertion sequences and transposons. Viruses are another example of an episome. Viruses that integrate their genetic material into the host chromosome enable the viral nucleic acid to be produced along with the host genetic material in a nondestructive manner. As an autonomous unit (i.e., existing outside of the chromosome) however, the viral episome destroys the host cell as it commandeers the host's replication apparatuses to make new copies of itself. Read more: Episomes - DNA, Chromosome, Genetic, and Host - JRank ArticlesRef: